Z score measures the bone mineral density compred to-
1. Age, Race and sex matched individuals
2. Race and sex matched individuals
3. Sex matched individuals
4. None of the above

Correct answer: 1. Age, Race and sex matched individuals

Explanation: Ans. is 'a' i.e., Age, Race and sex matched individuals o The gold standard for diagnosis of osteoporosis is dual energy absorption scan (DEXA Scan).o T Score and Z score are the measures of bone mineral density.o Z score : Measures the bone mineral density in terms standard deviation from the mean bone mineral density of age, race and sex matched individuals.o T score : Measures the bone mineral density in terms standard deviation from the mean bone mineral density of race and sex matched individuals of normal younger age group.